Which of the following statements about imipenem is most accurate?
1. The drug has a narrow spectrum of antibacterial action
2. It is used in fixed dose combination with sulbactum
3. In renal dysfunction, dosage reductions are necessary to avoid seizures
4. Imipenem is active against methicillin-resistant staphylococci

Correct answer: 3. In renal dysfunction, dosage reductions are necessary to avoid seizures

Explanation: Carbapenems are synthetic b-lactam antibiotics Imipenem, meropenem, doripenem and ertapenem are the drugs of this group currently available. Imipenem : Effective against : Gm +ve, Gm -ve including pseudomonas and anaerobic. Dehydropeptidase by kidney metabolises imipenem rapidly. Cilastatin is a dehydropetidase inhibitor, which must be given along with imipenem for desired action. Side effect : Seizure